Softening heat treatment of alloy increases:
1. Tensile strength
2. Proportional limit
3. Ductility
4. Hardness

Correct answer: 3. Ductility